Which component of a removable partial denture used to retain or prevent dislodgement?
1. Indirect retainer
2. Rest
3. Minor connector
4. Direct retainer

Correct answer: 4. Direct retainer